A high school athlete comes to the physician for review. She engages in strenuous exercise for many hours each week, involving running, jumping, and weight lifting. As part of there view, she asks about glucose transportation into myocytes. 
Which glucose transporter is responsible for assisting glucose across the plasma membrane in myocytes?
1. GLUT1
2. GLUT2
3. GLUT3
4. GLUT4

Correct answer: 4. GLUT4